A male presents with gynaecomastia, galactorrhoea and hypogonadism. Likely diagnosis is:
1. Empty sella syndrome
2. Meningioma
3. Acromegaly
4. Prolactinoma

Correct answer: 4. Prolactinoma

Explanation: Ans. D: Prolactinoma Hyperprolactinemia may present with galactorrhea, amenorrhea (females) and hypogonadism Galactorrhea rarely occurs in men and only does so, if gynaecomastia has been induced by hypogonadism